Derivative of umbilical artery is:
1. Medial umbilical ligament
2. Superior vesical artery
3. Both of the above
4. None of the above

Correct answer: 3. Both of the above

Explanation: Distal parts of the umbilical arteries form the medial umbilical ligaments, and the proximal portions remain open as the superior vesical arteries Ref: Langman's embryology 11th edition Chapter 12.